In CPR, chest compressions are done:
1. On the upper part of sternum
2. On the xlphisterum
3. On the middle of the lower part of the sternum
4. On the left side of the chest

Correct answer: 3. On the middle of the lower part of the sternum